Haab's striae are seen in –
1. Angle closure glaucoma
2. Infantile glaucoma
3. Stargardt disease
4. Disciform keratitis

Correct answer: 2. Infantile glaucoma

Explanation: Due to rupture of Descemet's membrane, more discrete corneal opacities appear as lines with double contour : - Haab stria.